Which one of the following is not a sign of early pregnancy?
1. Goodell's sign
2. Hegar's sign
3. Cullen's sign
4. Palmer sign

Correct answer: 3. Cullen's sign

Explanation: Cullen's sign